The following statement is not true about sotalol:
1. It is a non–selective beta–blocker
2. It prolongs action potential duration throughout the heart
3. It is excreted through bile following hepatic metabolism
4. Polymorphic ventricular tachycardia is a common side–effect

Correct answer: 3. It is excreted through bile following hepatic metabolism